Dantrolene sodium reduces skeletal muscle tone by:
1. Reducing acetylcholine release from motor nerve endings
2. Suppressing spinal polysynaptic reflexes
3. Inhibiting the generation of muscle action potential
4. Reducing Ca2+ release from sarcoplasmic reticulum in the muscle fibre

Correct answer: 4. Reducing Ca2+ release from sarcoplasmic reticulum in the muscle fibre

Explanation: * Dantrolene is the drug of choice for the treatment of malignant hyperthermia and neuroleptic malignant syndrome. * It acts as an antagonist of Ryanodine receptors (present on smooth endoplasmic reticulum). It inhibits the release of Ca2+ from sarcoplasmic reticulum in the muscle fibre.